Fats are stained by:
1. Hematoxylin and eosin
2. Oil red O
3. Periodic Acid Schiff
4. GMS Silver Stain

Correct answer: 2. Oil red O

Explanation: Ans. Oil red O